Low C3 level are seen in -
1. IgA nephropathy
2. Minimal change disease
3. Mesangial capillary glomerulonephritis
4. FSGN

Correct answer: 3. Mesangial capillary glomerulonephritis

Explanation: Ans. is 'c' i.e., Mesangial capillary glomerulonephritis o In minimal change N.S. C3 is characteristically normal,o In PSGN - C3 is low initially but become normal after 6-8 weeks.o In IgA nephropathy C5 level is normal but serum IgA level is high - (Neslan 17th/e Chapter 511)o C3 level is decrease in PSGN, SLE or MPGN.o In MPGN Membrane proliferative (Mesangiocapillaiy glomerulonephritis) is associated with C3 hypocomplimentemia. - (Nelson 17th/e Chapter 513 )